Whole body radiation is indicated in –  a) Advanced head & neck tumours  b) BM transplantation  c) Medulloblastoma  d) Mycosis fungoides  e) Histiocytosis-x
1. ab
2. bd
3. ac
4. dc

Correct answer: 2. bd